A 20 year old male presents with extrapyramidal symptoms and liver damage. Diagnosis
1. Wilson's disease
2. Huntington's disease
3. Parkinsons's disease
4. Hemochromatosis

Correct answer: 1. Wilson's disease

Explanation: Wilson's disease It is characterized by excessive deposition of copper in the liver, brain and other tissues Clinical features Liver disease during first decade of life or with neuropsychiatric illness during 3rd decade Kayser-Fleischer ring - due to deposition of copper in Descemet's membrane in the limbs of corners Ref: Sabiston 20th edition